Which line of death certificate represents the major antecedent cause of death
1. la
2. lb
3. lc
4. ll

Correct answer: 3. lc

Explanation: International death certificate

The basis of mortality data is death certificate.
For ensuring national and international comparability, it is necessary to have a uniform and standardized system of recording and classifying deaths.
For this purpose, WHO has recommended international death certificate,
Consist of four lines: 
Line Ia: Disease or condition directly leading to death 
Line Ib: Antecedent/underlying cause 
Line Ic: Main antecedent/underlying cause 
Line II: Other significant conditions contributing to death but not related to disease/condition causing it
Example of a death cerficate: Line la: Renal failure. Line lb: Diabetic nephropathy. Line Ic: Diabetes mellitus. Line II: Hypertension
Concept of underlying cause, Line Ic is the most important line in death certificate, thus also known as ‘Essence of Death Cerficate’